Most common organism cultured in CSOM is
1. Staphylococcus aureus
2. Staphylococcus epidermidis
3. Staphylococcus pneumonia
4. Pseudomonas aeruginosa

Correct answer: 4. Pseudomonas aeruginosa

Explanation: Pus culture in both aerobic and anaerobic CSOM may show multiple organisms. Common aerobic organisms are Pseudomonas aeruginosa Proteus Escherichia coli Staphylococccus aureus While anaerobes include Bacteroides fragilis Anaerobic streptococcal (Ref: Textbook of diseases of ENT, PL Dhingra, 7th edition, pg no. 76)